Choking is seen in:
1. Revolver
2. Pistol
3. Shotgun
4. Rifle

Correct answer: 3. Shotgun

Explanation: Ans. Shotgun